Mitochondiral DNA is
1. Closed circular
2. Nicked circular
3. Linear
4. Open circular

Correct answer: 1. Closed circular